Hypervitaminosis of which of the following will cause bony abnormalities -a) Vit. Ab) Vit. Dc) Vit. Cd) Vit. Ee) Vit. K
1. ac
2. a
3. ab
4. bc

Correct answer: 3. ab

Explanation: Hypervitaminosis 'A' and `D' can cause metabolic bone disease :-


Hypervitaminosis 'A' →  Bony tenderness and bony swelling.
Hypervitaminosis ‘D’ → Excessive bone resorption.